A 26 year old female patient complains of tooth sensitivity while eating ice-cream. Intra-oral examination reveals Class V lesion with 23. She also gives a history of bruxism. Which type of composite is most useful in this patient?
1. Packable composites due to increased viscosity
2. Microfilled due to low modulus of elasticity
3. Macrofilled due to low filler content
4. None of the above

Correct answer: 2. Microfilled due to low modulus of elasticity

Explanation: The low modulus of elasticity of microfilled composites allow them to flex with tooth and protect the bonding interface. This is most useful in bruxism, clenching and stressful occlusion where flexure forces are high.
Reference- Sturdevant 4th ed P:257